The blebs of vaginitis emphasematosa contains:
1. H2S
2. H2
3. NO2
4. CO2

Correct answer: 4. CO2

Explanation: CO2